Which of the following statements about Premature ventricular beats is false -
1. Sequential depolarization of ventricles
2. Wide, Bizzare, Notched QRS complexes
3. Prevalence decreases with age
4. Palpitations is a common presenting feature

Correct answer: 3. Prevalence decreases with age